Which of the following is a selective serotonin & nor epinephrine reuptake inhibitor ?
1. Fluoxetine
2. Venlafaxine
3. Sertaline
4. Arnoxipine

Correct answer: 2. Venlafaxine

Explanation: Ans. is 'b' i.e., Venlafaxine o Important SNRIs are :- Venalafaxine, Milnacipram, desvenalafaxine, Duloxetine.